Rhinolalia clausa occurs in all except
1. Nasopharyngeal polyp
2. Nasopharyngeal carcinoma
3. Cleft palate
4. Nasopharyngeal angiofibroma

Correct answer: 3. Cleft palate

Explanation: Rhinolalia clausa- Abnormal speech due to obstruction in nose Hyponasal speech Causes: Nasopharyngeal polyp Nasopharyngeal cancer Nasopharyngeal angiofibroma, adenoids Rhinolalia aperta Abnormal nasal resonance Hypernasal speech Causes Cleft palate Velopharyngeal insufficiency Congenital short soft palate